Which of the following type of joint is found between epiphysis and diaphysis of a long bone?
1. Plane Synovial joint
2. Fibrous joint
3. Symphysis
4. Synchondrosis

Correct answer: 4. Synchondrosis

Explanation: Synchondrosis is a type of cartilaginous joint. In synchondrosis, the bones forming the joint are united by a plate of hyaline cartilage. They also lack a joint cavity. The joint between epiphysis and diaphysis is an example of synchondrosis. Other examples of this are joint between basisphenoid and basiocciput and first first costosternal joint. The clinical significance of joint between epiphysis and diaphysis of long bone are:The piece of hyaline cartilage between the epiphysis and diaphysis allows the growth of long bone in length and as growth is completed in height these joints ossify.The growth plate is clearly seen as a radiolucent shadow between epiphysis and diaphysis in radiograph.Damage of the epiphyseal plate in the growing end following fracture of a long bone in child may lead to shortening of the limb.